A young female presented with consumption of some substance in the emergency department. Greenish blue froth was seen coming out of her nostrils and oral cavity. The poisoning is most likely due to which of the following
1. Arsenic poisoning
2. Copper poisoning
3. Mercury poisoning
4. Lead poisoning

Correct answer: 2. Copper poisoning

Explanation: Ans. b. Copper poisoning